A 3 year old girl with severe dehydration. What is the best step in case of failure to obtain IV access ____________
1. Subclavian central line
2. Introsseous
3. Jugular cut down
4. Femoral vein

Correct answer: 2. Introsseous

Explanation: Increased fluids and dietary changes are the main treatment for diarrhea. Note: One loose stool can mean nothing. Don't start dietary changes until your child has had several loose stools. Encourage your child to drink lots of fluids to prevent dehydration. Reference: GHAI Essential pediatrics, 8th edition Nutrition Chapter